Anterior polar cataract develope in:
1. Diabetes Mellitus
2. Penetrating corneal injury
3. Irradiation
4. Barbiturates

Correct answer: 2. Penetrating corneal injury

Explanation: Ans: B (Penetrating corneal injury) Anterior Polar CataractQIt involves the central part ofthe anterior capsule & the adjoining superficial- most cortex.May arise in -Due to corneal perforationCataract may follow contact of the lens capsule with the back of cornea .usually after perforation due to ophthalmia neonatorum or any other causeDue to delayed development of anterior chamber : In this case the opacity is congenital, usually b/lr stationary & visually insignificantAnterior Polar CataractQ (Lens & Cataract - American Academy of Ophthalmology 2007-2008/34])# Anterior polar cataract are usually small, bilateral, symmetric, non progressive opacities that do not impair visionThey are frequently inherited in an autosomal dominant pattern# Sometimes seen in association with other ocular abnormalities, including microphthalmos ,persistent papillary membrane & anterior lenticonus5'Extra EdgeType of cataractCauseSnowflake/ Snow storm cataractQDiabetes mellitusQSunflower /Petals of flower cataractsWilson diseaseQ ChalcosisQPenetrating traumaVossius ring on anterior surface of lensRossette shaped cataractQBlunt traumaQChristmas tree cataractQMyotonic dystrophicaQOil drop cataractQDust like lenticular opacityGalactosemiaQPosterior cortical Bread's crumb appearancePolychromatic lusture /Rainbow cataractComplicated cataractQMorgagnian cataractQHypermature senile cataract